MHC class III genes encode:
1. Complement component C3
2. Tumor necrosis factor
3. Interleukin 2
4. Beta 2 microglobulin

Correct answer: 2. Tumor necrosis factor

Explanation: HLA class III contains genes for Complement components C2 and C4Q of classical pathway (Not C3Q) Properdin factor BQ of alternate pathway Tumor necrosis factorQ: Alpha and Beta Heat shock protein 70 Q Enzyme tyrosine hydroxylase Genes for MHC (also known as HLA) are located on short arm of chromosome 6.